Puberty does NOT occur before the age of 8 years because:
1. The hypothalamus does not secrete GnRH in a pulsatile manner
2. Inadequate synthesis of gonadotropins by the pituitary
3. Gonads are unresponsive to gonadotropin
4. Positive feedback action of gonadal steroids on pituitary

Correct answer: 1. The hypothalamus does not secrete GnRH in a pulsatile manner

Explanation: Puberty and regulation of its onset During childhood the hypothalamus does not secrete significant amount of GnRH because during childhood, the slightest secretion of any sex steroid hormones exerts a strong inhibitory effect on hypothalamic secretion of GnRH. But at the time of puberty, the secretion of hypothalamic GnRH breaks through the childhood inhibition and adult sexual life begins.